A 28 weeks pregnant found to have blood pressure of 140/90 mm of Hg in her prenatal visit. Her urine was sent to laboratory for finding out the presence of proteins. Which of the following is a risk factor for progressing to pre eclampsia in this patient?
1. Family history of preeclampsia
2. Age
3. Hydatidiform mole
4. All of the above

Correct answer: 4. All of the above

Explanation: Risk Factors for Preeclampsia: Age 35 years Nulliparity Multiple gestation Hydatidiform mole Diabetes mellitus Thyroid disease Chronic hypertension Renal disease Collagen vascular disease Antiphospholipid syndrome Family history of preeclampsia Ref: Miller D.A. (2013). Chapter 26. Hypertension in Pregnancy. In A.H. DeCherney, L. Nathan, N. Laufer, A.S. Roman (Eds), CURRENT Diagnosis & Treatment: Obstetrics & Gynecology, 11e.